Incubation period of Mumps -
1. 4-5 days
2. 7-15 days
3. 12-24 days
4. 50 days

Correct answer: 3. 12-24 days

Explanation: Incubation period of mumps varies from 2 to 4 weks, usually 14- 18 days Reference : Park's Textbook of preventive and social medicine, 24th edition.Pg no.162